Creola bodies are seen in
1. A. Bronchial asthma
2. B. Emphysema
3. C. Chronic bronchitis
4. D. Bronchiectasis

Correct answer: 1. A. Bronchial asthma

Explanation: Refer ribbons 9/e p682 Creola bodies are a histopathologic finding indicative of asthma. Found in a patient's sputum, they are ciliated columnar cells sloughed from the bronchial mucosa of a patient with asthma. Other common findings in the sputum of asthma patients include Charcot-Leyden crystals, Curschmann's Spirals, and eosinophilsCreola bodies are a histopathologic finding indicative of asthma. Found in a patient's sputum, they are ciliated columnar cells sloughed from the bronchial mucosa of a patient with asthma. Other common findings in the sputum of asthma patients include Charcot-Leyden crystals, Curschmann's Spirals, and eosinophils